Hydrogen peroxide is degrading by
1. Golgi apparatus
2. Peroxisomes
3. Mitochondria
4. All

Correct answer: 2. Peroxisomes

Explanation: Peroxisomes degrade hydrogen peroxide by enzyme catalase This enzyme is present in peroxisomes Ref:Guyton and Hall textbook of medical physiology 12th edition,page number:13